For chemotherapy induced vomiting, 5HT3 antagonist having maximum potency is:
1. Ondansetron
2. Granisetron
3. Dolasetron
4. Palonosetron

Correct answer: 4. Palonosetron

Explanation: it is the longest acting and highest affinity towards 5HT3 receptor used in chemotherapy induced vomiting ESSENTIAL OF MEDICAL PHARMACOLOGY SEVENTH EDITION KD TRIPATHI PG NO .669